Myositis ossificans is differentiated from other reactive fibroblastic proliferations by the presence of:
1. Dysplastic bone
2. Dystrophic bone
3. Metaplastic bone
4. Hypertrophic bone

Correct answer: 3. Metaplastic bone

Explanation: Ans. C: Metaplastic bone Myositis ossificans usually develops in the athletic adolescents and young adults and follows an episode of trauma in more than 50% of cases. The lesion typically arises in the musculature of proximal extremities. It shows metaplastic bone. It should be differentiated from extraskeletal osteosarcoma.